Lower esophageal sphincter tone is due to
1. Vasoactive intestinal peptide
2. Nitrous oxide
3. Acetylcholine
4. Pancreatic polypeptide

Correct answer: 3. Acetylcholine

Explanation: Ans. (c) AcetylcholineRef: Bailey & Love 26th ed. / 988There are two types of control of LES via the Myenteric plexus:* Excitatory (cholinergic) ganglionic neurons* Inhibitory (nitric oxide) ganglionic neuronsFunctionally, inhibitory neurons mediate Deglutitive lower esophageal sphincter (LES) relaxation and the sequential propagation of peristalsis.